Which of the following is a premalignant lesion of squamous cell carcinoma?
1. Dermatofibroma
2. Granuloma annulare
3. Actinic keratosis
4. Behcet's disease

Correct answer: 3. Actinic keratosis

Explanation: Actinic Keratosis & Bowen's disease are premalignant lesions of squamous cell carcinoma.